Optic neuritis is caused by :
1. Ethambutol
2. INH
3. Rifampicin
4. Chloromycetin

Correct answer: 1. Ethambutol